Which of the following is the most frequent tumor of the bone in the hand:
1. Hemangioma
2. Enchondroma
3. Ganglion cyst of the bone
4. Synovioma

Correct answer: 2. Enchondroma

Explanation: Ans. B. EnchondromaBenign tumors of mature hyaline cartilage are usually located centrally in bone and are known as enchondromas, this is the most frequent tumor of the bone of the hand, this rarely exhibits aggressive behavior and is sometimes referred to as cartilaginous hamartoma.